Fins and spines on the casting is seen due to
1. Prolonged heating
2. Rapid heating rate
3. Water film contamination
4. Too high pressure during casting

Correct answer: 2. Rapid heating rate